Following statements are true with respect to glycogen except
1. Principle storage of carbohydrate in the human body is glycogen
2. Liver and muscle are the main sites of glycogen storage
3. Produced by glycogenesis
4. Insulin stimulates glycogenolysis

Correct answer: 4. Insulin stimulates glycogenolysis

Explanation: Insulin inhibits glycogenolysis by favoring the inactivation of glycogen phosphorylase and inhibiting glucose-6-phosphatase. The net effect of all these three mechanisms, blood glucose level is lowered.Ref: DM Vasudevan, 7th edition, page no: 321